New DNA material is synthesized in which phase:
1. Prophase
2. Metaphase
3. Telophase
4. Interphase

Correct answer: 4. Interphase

Explanation: In cells with a nucleus (eukaryotes), the cell cycle can be divided in two brief periods:* Interphase-- during which the cell grows, accumulating nutrients needed for mitosis and duplicating its DNA